Which of the following is the site of gastric outlet obstruction in a patient with peptic ulcer disease?
1. Antrum
2. Pylorus
3. Pyloric canal
4. Duodenum

Correct answer: 4. Duodenum

Explanation: Gastric outlet obstruction is a complication of peptic ulcer disease. The most common site of gastric outlet obstruction in a peptic ulcer patient is the first part of duodenum, which is the most common site for a peptic ulcer. Other complications include includes perforation and hemorrhage. Peptic ulcers are defects in the gastrointestinal mucosa that extend through the muscularis mucosa. It refers to ulcers in the stomach, duodenum or both. Majority of peptic ulcer occur due to H pylori or NSAIDs. Gastric ulcer most commonly occur along the lesser curvature at the junction of the fundic and antral mucosa. Most common location of duodenal ulcer is the duodenal bulb. Ref: Surgery: Basic Science and Clinical Evidence By Jeffrey A. Noo, Pages 853-4; Nonprescription Product Therapeutics By W. Steven Pray, Page 100